Retinoblastoma gene regulates?
1. G1-s phase
2. G2 to M phase
3. G0 to G 1 Phase
4. S-G2 Phase

Correct answer: 1. G1-s phase

Explanation: harshmohan textbook of pathology 7th edition. *active form of RB gene :it blocks cell division by binding to the transcription factor E2F and this inhibits the cell from transcription of cell cycle related gene there by inhibiting the cell cycle at G1.